Planned end-point of all activities is -
1. Objectives
2. Goals
3. Targets
4. Results

Correct answer: 1. Objectives

Explanation: - an objective is planned end point of all activities. - it is either achieved or not achieved. Reference : Park's textbook of preventive and social medicine, 23rd edition, pg no;868